A 50 year old woman, Hema has been diagnosed with locally advanced breast cancer and recommended for chemotherapy. She has five years history of myocardial infarction and congestive heart failure. Which antineoplastic drug should be best avoided
1. Anthracycline
2. Alkylating agent
3. Platinum compound
4. Bisphosphonates

Correct answer: 1. Anthracycline

Explanation: Anthracyclines like Doxorubicin, Daunorubicin, Idarubicin and Epirubicin are implicated in causing cardiotoxicity. This adverse effect is due to the generation of iron mediated free radicals. Dexrazoxane is a free radical scavenger that can be used to prevent cardiotoxicity due to anthracyclines.